Spontaneous breathing circuit used in children is -
1. Jackson Rees modification of Ayre's T piece
2. Mapleson A or Magill's circuit
3. Mapleson C or water's to & fro canister
4. Bain's circuit

Correct answer: 1. Jackson Rees modification of Ayre's T piece

Explanation: Ans. is 'a' i.e., Jackson Rees modification of Ayre's T piece o Repeat from previous sessions